A patient of diabetes mellitus with hypertension, the goal blood pressure to be maintained is ?
1. <160/90 mm Hg
2. <130/80 mm Hg
3. <140/80 mm Hg
4. <120/80 mm Hg

Correct answer: 2. <130/80 mm Hg

Explanation: According to European Society of Cardiology guidelines (2018)) Category Target 1. All patient 140/90 mmHg - Initially * <65 years - < 130/80mmHg *>= 65 years -<140/90mmHg 2. HTN with CKD <140/80 mmHg 3. HTN with DM <130/80 mmHg